A patient presents with a platelet count of 700 × 109/L with abnormalitites in size, shape and granularity of platelets. WBC count of 12 × 109L, hemoglobin of 11g/dl and the absence of the Philadelphia chromosome. The most likely diagnosis would be-
1. Polycythemia vera
2. Essential thrombocythemia
3. Chromic myeloid leukemika
4. Leukemoid reaction

Correct answer: 2. Essential thrombocythemia